The rectus sheath contains all of the following except
1. Pyramidalis muscle
2. Genitofemoral nerve
3. Inferior epigastric vessels
4. Superior epigastric vessels

Correct answer: 2. Genitofemoral nerve

Explanation: The rectus sheath is formed by the aponeuroses of the transverse abdominal and the external and internal oblique muscles. It contains the rectus abdominis and pyramidalis muscles. It can be divided into anterior and posterior laminae. Ref - BDC 6e Vol2 pg209